Middle lobe of lung contains, segments -
1. Superior & inferior
2. Anterior & posterior
3. Medial & lateral
4. Apical & basal

Correct answer: 3. Medial & lateral

Explanation: Ans. is 'c' i.e., Medial & lateral Right lungLobesSegmentsA. Upper1. Apical2. Posterior3. Anterior4. Lateral5. Medial6. Superior7. Medial basal8. Anterior basal9. Lateral basal10. Posterior basalB. MiddleC. LowerLeft lungA. Uppero Upper division1. Apical2. Posterior3. Anterior4. Superior lingular5. Inferior lingular6. Superior7. Medial basal8. Anterior basal9. Lateral basal10. Posterior basalo Lower divisionB. Lower